In cystoid macular edema fluid collects in the macular region at the level of
1. Outer nuclear layer
2. Outer plexiform layer
3. Inner plexiform layer
4. Between pigment epithelium and neurosensory retina

Correct answer: 2. Outer plexiform layer

Explanation: Ans. Outer plexiform layer